A newborn within few hours of birth, developed bile stained vomiting and epigastric distention. On examination abdomen is scaphoid with visible peristalsis in the upper abdomen. Per rectal examination shows no stool in the rectum. Xray abdomen shows air trapped in stomach and proximal duodenum. What is the treatment of choice in this case?
1. Ramstedt pyloromyotomy
2. Duodenoduodenostomy
3. Conservative management
4. Barium enema and air enema

Correct answer: 2. Duodenoduodenostomy

Explanation: This newborn is showing features of duodenal atresia. The most common method of treatment of duodenal atresia is duodenoduodenostomy or duodenojejunostomy. Duodenal atresia is associated with congenital defects such as: - Down's syndrome - Cardiovascular malformation - Annular pancreas - Malrotation - Esophageal atresia